Markedly inappropriate sensitivity, self importance and suspiciousness are clinical features of
1. Aantisocial
2. Historic
3. Schizoid
4. Paranoid

Correct answer: 4. Paranoid

Explanation: D i.e. Paranoid P